Danazol is used in the treatment of the following conditions, EXCEPT:
1. Endometriosis
2. Fibroadenosis of breast
3. Delayed puberty
4. Gynaecomastia

Correct answer: 3. Delayed puberty

Explanation: This ethinyl testosterone derivative has weak androgenic activity. It is prescribed primarily for endometriosis but also is used in the treatment of fibrocystic disease of the breast and hematologic or allergic disorders, including hemophilia, Christmas disease, idiopathic thrombocytopenic purpura, and angioneurotic edema. The major adverse effects are weight gain, edema, decreased breast size, acne and oily skin, increased hair growth, deepening of the voice, headache, hot flushes, changes in libido, and muscle cramps. It is also contraindicated during pregnancy and breast-feeding, as it may produce urogenital abnormalities in the offspring. Ref: Chrousos G.P. (2012). Chapter 40. The Gonadal Hormones & Inhibitors. In B.G. Katzung, S.B. Masters, A.J. Trevor (Eds), Basic & Clinical Pharmacology, 12e.